When is pregnancy is terminated in hyperemesis Gravidarum:
1. Increased acetone in urine
2. Decrease in renal output
3. Vomiting is more than 3 months
4. All

Correct answer: 2. Decrease in renal output

Explanation: Indications for therapeutic termination in hyperemesis gravidarum:

Steady deterioration, in spite of therapy
Rising pulse rate of 100/min or more
Temperature constantly above 38°C (100.4°F)
Gradually increasing oliguria and proteinuria
Appearance of jaundice
Appearance of neurological complications.